Sertoli cells in the testis have receptors for
1. FSH
2. LH
3. Inhibin
4. All of the above

Correct answer: 1. FSH

Explanation: Sertoli cells secrete inhibin. They have receptors for FSH. LH acts on Leydig cells, which secrete testosterone.